In orthotopic liver transplantation, which is the best way to get bile drainage in donor liver:
1. Anastomose donor bile duct with the duodenum of recipient
2. Anastomose donor bile duct with the jejunum of recipient
3. Anastomose donor bile duct with recipient bile duct or Roux-en-Y choledochojejunostomy
4. External drainage for few days followed by choledochojejunostomy

Correct answer: 3. Anastomose donor bile duct with recipient bile duct or Roux-en-Y choledochojejunostomy